Gettler's test is done in
1. Traumatic asphyxia
2. Strangulation
3. Drowning
4. Sexual asphyxia

Correct answer: 3. Drowning

Explanation: Gettler's test It is the comparison between chloride contents of blood from the right and left sides of the heart. Normally the chloride content of both sides are same i. e, about 600mg per 100ml. The difference between two chambers may not be more than 5mg/100ml under usual circumstances. He suggested that a difference of 25mg% between the chloride concentrations of the two sides of the heart was an indication of death due to drowning. Ref: TEXTBOOK OF FORENSIC MEDICINE AND TOXICOLOGY KRISHNAN VIJ FIFTH EDITION PAGE 141